Which of the following lesion is hyperdense on CT?
1. Ependymoma
2. Medulloblastoma
3. Oligodendroglioma
4. Astrocytoma

Correct answer: 2. Medulloblastoma

Explanation: Most Brain tumors are Hypodense on NCCT Hyperdense Brain tumors include Medulloblastoma, CNS Lymphoma, and Pineal Germinomas. NCCT showing a hyperdense lesion in 4th ventricle s/o Medulloblastoma.